A 15 day old baby presented to the emergency department with history of seizures. Blood tests revealed serum calcium of 5mg/dl, serum phosphate of 9 mg/dl and an intact PTH of 30 pg/ml (Normal Intact PTH = 10-60 pg/ml). Which of the following is the most likely diagnosis?
1. Pseudohypoparathyroidism
2. Hypoparathyroidism
3. Vitamin D Deficiency
4. Hypoxic Ischaemic Encephalopathy

Correct answer: 2. Hypoparathyroidism

Explanation: Baby is showing features of relative hypoparathyroidism. In hypoparathyroidism serum calcium level is decreased, Phosphate level is increased and PTH levels is inappropriately normal, low or undetectable. Ref: Endocrinology and Metabolism By Pauline M. Camacho page77; The Cambridge encyclopedia of human paleopathology By Arthur C. Aufderheide, Conrado Rodriguez-Martin, Odin Langsjoen page 333.